Protein A of staph aureus is part of bacterial ?
1. Genome
2. Cell wall
3. Limiting membrane
4. Plasmid

Correct answer: 2. Cell wall

Explanation: Ans. is 'b' i.e., Cell wall Protein A is a cell wall component of many S aureus strains that binds to the Fc portion of IgG molecules except IgG3.The Fab portion of IgG bound to protein A is free to combine with a specific anigen. Protein a has become an important reagent in immunology and diagnostic laboratory technology; for example, protein A with attached lgG moleculaes directed against a specific bacterial antigen will agglutinate bacteria that have that antigen ("coagglutination").